In class III Ellis fracture
1. Only enamel is involved
2. Enamel and dentine are involved
3. Enamel, dentine and pulp are involved
4. Non-vital pulp

Correct answer: 3. Enamel, dentine and pulp are involved